All of the following statements about penicillin G are true EXPCEPT:
1. It is actively secreted in tubules
2. It is never administered orally
3. It is effective against gram positive as well as some gram negative bacteria
4. It acts by inhibiting cell wall synthesis

Correct answer: 2. It is never administered orally

Explanation: penicillin G is acid labile-destroyed by gastric acid. As such, less than 1/3rd of an oral dose is absorbed in the active form. Absorption of sod. PnG from i.m. site is rapid and complete; peak plasma level is attained in 30 min. ESSENTIALS OF PHARMACOLOGY page no. 718